Acidic drugs bind to -
1. Globulin
2. a-1 glycoprotein
3. Albumin
4. None

Correct answer: 3. Albumin

Explanation: Ans. is 'c' i.e., Albumin o Many natural substances circulate around the body partly free in plasma water and partly bound to plasma proteins, e.g. cortisol, thyroxine.o Similarly drugs circulate in protein bound and free states, and the significance is that the free fraction is pharmacologically active whereas the protein bound component is a reservoir of drug that is inactive because of this binding.o Acidic drugs generally bind to plasma albumin.o Basic drugs bind to a{ acid glycoprotein.o Binding to albumin is quantitatively more important.